Pyrimidine metabolism features a/e
1. Require CAD polypeptide chain
2. 6-azauridine 1/t oritidinuria
3. DHOA-dehydrogenase is mitochondrial
4. Reye syndrome decrease cytosolic carbamoyl phosphate

Correct answer: 4. Reye syndrome decrease cytosolic carbamoyl phosphate

Explanation: D i.e. Reye syndrome decrease cytosolic carbamoyl phosphate